A young athlete died of sudden cardiac arrest after atheletic activity. Postmortem finding revealed interventricular septal hypertrophy. What is the most probable diagnosis?
1. Dilated Cardiomyopathy (DCM)
2. Hypertrophic Obstructive Cardiomyopathy (HOCM)
3. Aortic Stenosis (AS)
4. Ventricular Septal Defect (VSD)

Correct answer: 2. Hypertrophic Obstructive Cardiomyopathy (HOCM)

Explanation: Syncope and sudden death following competitive sports in young individuals is characteristic of Hypertrophic Obstructive Cardiomyopathy (HOCM). The presence of interventricular septal hypertrophy in postmortem confirms the diagnosis of HOCM. Ref: Harrison's Principles of Internal Medicine, 16th Edition, Pages 1410-11; Davidson's Principles and Practice of Medicine, 19th Edition, Page 476